All of the following are true about multiple sclerosis EXCEPT -
1. Ataxia
2. Spasticity
3. Rigidity
4. Vertigo

Correct answer: 3. Rigidity

Explanation: (C) (Rigidity) (3395-402-H 18th) (1193 Davidson 21st)MULTIPLE SCLEROSIS* Characterized inflammation, demyelination, gliosis (scarring) and neuronal loss.* Weakness of the limbs, exercise induced weakness is characteristic symptoms of MS. Weakness is of the UMN type and is usually accampained by other pyramidal signs such as spasticity, hyperreflexia and Bab inskis sign.* Initial symptoms, sensory loss (37%), optic neuritis (36%) weakness (35%), paresthesia, diplopia, ataxia, vertigo, paroxysmal attacks, bladder, Lthermitte's, pain, dementia, visual loss, facial palsy, impotence, Myokymia, Epilepsy, Falling.* The expanded disability status score (EDSS) is a useful measure neurologic impairment in MS.* Tuberous sclerosis - TRIADi) Adenoma sebaceumii) Seizureiii) Intellectual disability